Which among the following organism is detected by 'hanging drop preparation'?
1. Trichomonas vaginalis
2. Gardnerella vaginalis
3. Candida albicans
4. Mobilincus

Correct answer: 1. Trichomonas vaginalis

Explanation: Hanging drop preparation reveals presence of motile Trichomonas vaginalis organisms. Must know: Candida albicans identified by demonstration of budding yeasts in 10% KOH preparation or Gram smear. Gardnerella vaginalis is identified by demonstration of vaginal epithelial cells with blurred margins due to coating by numerous Gardnerella vaginalis ('Clue cells') in vaginal discharge. Mobilincus produce trimethylamine which gives the smell of rotten fish.